Transfer of the graft of different species are called as:
1. Isograft
2. Allograft
3. Homograft
4. Xenograft

Correct answer: 4. Xenograft

Explanation: Isograft: Is a graft from a different individual genetically identical with recipient e.g. identical twin Autograft: Is to self Allograft: Graft from same species but different genotype (from one human to another human) Xenograft: Graft from different species (from animal to human)